In the JVP, 'a' waves are absent in -
1. Atrial fibrillation
2. Mitral stenosis
3. Tricuspid atresia
4. myocardial infarction

Correct answer: 1. Atrial fibrillation

Explanation: The a wave reflects right atrial presystolic contraction and occurs just after the electrocardiographic P wave, preceding the first heart sound (S1).A prominent a wave is seen in patients with reduced right ventricular compliance; a cannon a wave occurs with atrioventricular (AV) dissociation and right atrial contraction against a closed tricuspid valve. In a patient with a wide complex tachycardia, the appreciation of cannon a waves in the jugular venous waveform identifies the rhythm as ventricular in origin. The a wave is not present with atrial fibrillation. Ref Harrisons internal medicine 20e p1668